A Cerebrospinal fluid of a 2 years old child has been sent to the laboratory to detect the presence of capsulated yeast. The staining technique most commonly employed for the purpose is
1. India ink preparation
2. Methenamine silver stain
3. Ziehl-Neelsen stain
4. Fite-faraco stain

Correct answer: 1. India ink preparation